Pulmonary Compliance is decreased in all of the folowing conditions, except:
1. Pulmonary congestion
2. COPD
3. Decreased Surfactant
4. Pulmonary Fibrosis

Correct answer: 2. COPD

Explanation: In COPD, the pulmonary compliance is increased.